Most common malignancy of vulva is -
1. Squamous cell carcinoma
2. Adenocarcinoma
3. Melanoma
4. Bartolin's gland tumor

Correct answer: 1. Squamous cell carcinoma

Explanation: Ans. is 'a' i.e., Squamous cell carcinoma Vulvar Carcinomao Squamous cell carcinoma is the most common histologic typeo Most patients are asymptomatic at diagnosis.o If symptoms exist, vulvar pruritis, mass, lump are the most common findingso Bleeding, ulcerative lesion, discharge, pain, dysuria - less frequent symptomso Large metastatic mass in the groin - Occasional symptom.Sites involvedo Labia majora and minora (60%)o Clitoris (15%)o Perineum (10%)o Too extensive to determine the site (10%)o Multifocal (5%)Staging of vulvar carcinomaStage ITumor confined to vulvaIALesions </= 2 cm in size, confined to the vulva or perineum and with stromal invasion <= 1mm, no nodal metastasis.IBLesions > 2cm in size or with stromal invasion > 1mm, confined to the vulva or perineum, with negative nodes.Stage IITumor of any size with extension to adjacent perineal structures (one - third lower urethra, one - third lower vagina, anus) with negative nodes.Stage IIITumor of any size with or without extension to adjacent perineal structures (one - third lower urethra, one - third lower vagina, anus) with positive inguino - femoral lymph nodes.Stage IVDistant metastasis.